Reed Sternberg cells are:
1. B cells
2. T cells
3. Natural killer cells
4. All of above

Correct answer: 1. B cells

Explanation: Reed-Sternberg (RS) cells are the malignant cells in Hodgkin Lymphoma which is a malignancy of germinal center mature B lymphocytes. These are large cells with abundant cytoplasm with bilobed and/or multiple nuclei These comprise less than 1% of the cellular infiltrate in the lymphoma tissue.